In case of hypothyroidism which investigation is most informative and most commonly used:
1. Serum TSH level
2. Serum T3 and T4 level
3. Serum calcitonin assay
4. Serum TRH assay

Correct answer: 1. Serum TSH level

Explanation: TSH* Most informative among thyroid function test parameters because of ultra-sensitivity* Can detect subclinical hypothyroidism & subclinical hyperthyroidism* Hypothyroidism - TSH |* Hyperthyroidism - TSH |